Iron content of MALA-D ?
1. 10 mg
2. 19-5 mg
3. 29.5 mg
4. 40 mg

Correct answer: 2. 19-5 mg

Explanation: Ans. is 'b' i.e., 19-5 mg MALA-D contains - i) 30 ug (0.03 mg) of ethinyl estradiol. ii) 0.15 mg of desogestrel (D-norgestrel). Each brown coloured film coated tablet contains 60 mg ferrous fumarate equivalent to ferrous iron 19.5 mg.